All of the following are branches of cerebral part of the internal carotid artery, EXCEPT?
1. Ophthalmic artery
2. Anterior cerebral artery
3. Posterior communicating artery
4. Meningeal artery

Correct answer: 4. Meningeal artery

Explanation: Meningeal artery is a branch of cavernous part of Internal carotid artery. Must know: The internal carotid artery begins at the superior border of the thyroid cartilage as one of the terminal branches of common carotid artery. Its course is divided into four parts: Parts of ICA Branches (A) Cervical parts No branches (B) Petrous part Caroticotympanic artery Pterygoid artery (C) Cavernous part Cavernous branches (to trigeminal ganglion, walls of cavernous and inferior petrosal sinuses and contained nerves) Superior hypophysial artery Inferior hypophysial artery Meningeal artery (D) Cerebral part Ophthalmic artery Anterior cerebral artery Middle cerebral artery Posterior communicating artery Anterior choroidal artery